What is the next step in management in managing a child with difficult intubation with 4 failed attempts at intubation?
1. Use LMA
2. Abandon the procedure
3. Try ET tube intibation again
4. Cricothyrotomy

Correct answer: 1. Use LMA

Explanation: Ans. is 'a' i.e., Use LMA